Urine bags and catheters biomedical waste will be disposed in
1. Yellow bag
2. Red bag
3. White container
4. Blue bag

Correct answer: 2. Red bag

Explanation: Red Category Contain Contaminated, recyclable waste ; plastic /rubber waste . Disposal method - Autoclaving, Micro waving, hydroclaving, F/b destruction & shredding. Final mechanism of Disposal - Road making. - Extra Edge: Plastic covers which are used to pack foley's catheter etc are not considered as biomedical waste. It is general waste & is disposed through black bag. Recyclable general waste is disposed in Green bins. Non-recyclable general waste is disposed in Blue bins.